Risk of preterm delivery is increased if cervical length is less than :
1. 2.5 cm
2. 3.0 cm
3. 3.5 cm
4. 4.0 cm

Correct answer: 1. 2.5 cm

Explanation: During pregnancy cervical length of <2.5cm and internal os of 1cm increases the chance of miscarriage Reference: Dutta's Textbook of Obstetrics 7th edition page no 169